Which of the following is true about roseola infantum
1. Defervescene follows the rash
2. Caused by HHV 6 and 7
3. Slapped check appearance is seen
4. Otitis media is common complication

Correct answer: 2. Caused by HHV 6 and 7

Explanation: Roseola infantum or exanthem subitum or sixth disease is caused by human herpes virus 6 and 7(HHV-6 and HHV-7) and echovirus 16. Classically the rash begins suddenly on the day the fever subsides, usually the sixth day ,thus called sixth disease. - pink almond shaped macules are the characteristic lesions. Rash first appears on trunk and then spreads to face , neck and proximal extremities. It is non pruritic and rarely becomes confluent . Infectious ness is low . Image : Roseola Infantum Clinical Presentation Reference :Op Ghai paediatrics 9 th edition pg : 212 IADVL's concise textbook of dermatology, first edition, pg no :75